All the following are bulk-forming laxatives except
1. Polycarbophil
2. Psyllium
3. Methylcellulose
4. Glycerin

Correct answer: 4. Glycerin

Explanation: Glycerin is a hyperosmotic laxative.Bulk formers: Polycarbophil, psyllium, and methylcellulose preparations. the dosage varies, consult product labeling.Hyperosmotics: Glycerin, 2-3 g suppository per rectum daily. Polyethylene glycol 3350 (powder), 17 g dissolved in 4-8 oz of beverage dailyStool softeners: Docusate sodium, 50-500 mg daily. Docusate calcium, 240 mg dailyStimulant laxatives: Bisacodyl, 5-15 mg daily. Senna, the dosage varies, consult product labelingRef: Katzung 13th ed. Pg 1090